Coca cola bottle sign is seen in
1. Blowout fracture
2. Glioma
3. sphenoid wing Meningioma
4. Thyroid ophthalmopathy

Correct answer: 4. Thyroid ophthalmopathy

Explanation: The Coca-Cola bottle sign refers to the appearance of the muscles of the orbit inthyroid eye disease. The belly of the muscle enlarges with sparing of the tendinous insertion, giving the appearance of the traditional Coca-Cola bottle. The nature of the enlargement is important as it is one of the chief findings to differentiate it from orbital pseudotumor, in which the tendinous insertion is also involved and enlarged, unlike in thyroid eye disease. Hyperostosis seen in case of spehnoid wing meningioma on CT scan